Diphenhydramine used as antitussive is a
1. Central opioid agonist
2. NMDA blocker
3. Antihistamine
4. Mucolytic

Correct answer: 3. Antihistamine

Explanation: Diphenhydramine is an anti histamine used for mild cough.